A farmer from the sub-himalayan region presents with multiple leg ulcers. The most likely causative agent is:
1. Trichopyton rubrum
2. Cladosporium species
3. Sporothrix schenkii
4. Aspergillus

Correct answer: 3. Sporothrix schenkii

Explanation: Ans. is (c) Sporothrix schenckii